Strength of chlorine to kill cyclops is –
1. 1 ppm
2. 2 ppm
3. 5 ppm
4. 10 ppm

Correct answer: 3. 5 ppm